The initiation of DNA synthesis requires
1. Five carbon sugar
2. Deoxyribose alone
3. A short RNA molecule
4. Proteins with free hydroxyl groups

Correct answer: 3. A short RNA molecule

Explanation: The initiation of DNA synthesis requires priming by a short length of RNA, about 10 to 200 nucleotides long. In E coli this is catalyzed by dnaG (primase), in eukaryotes, DNA Pol a synthesizes these RNA primers. Harper30e pg: 383